Molecular interaction, found in the structure of DNA
1. Hydrogen bond
2. Glycosidic bond
3. Covalent interactions
4. All of the above

Correct answer: 4. All of the above

Explanation: A DNA molecule is made up of the sugar deoxyribose, a phosphate group, and complementary nitrogenous base pairs. The double strand of the helix consists of the sugar-phosphate backbone. The nitrogenous base pairs, which are linked by hydrogen bonds that also hold the strands together, are between this backbone. However, the nitrogenous bases, which are adenine, thymine, cytosine, and guanine, pair up so that cytosine only pairs with guanine and adenine links up with thymine. There are three hydrogen bonds between guanine and cytosine, while adenine and thymine have two hydrogen bonds. Similarly, cytosine and thymine are called pyrimidines, and guanine and adenine are the purines. Ref-Harpers illustrated biochemistry 30/e p648